A blue nodular mass on the Lateral border of the tongue
is soft, smooth and blanches upon pressure. It is most likely to be:
1. Lymphoma
2. Hemangioma
3. Epulis fissuraturn
4. Epithetioma

Correct answer: 2. Hemangioma